Black dot ringworm is caused by -
1. Microsporum
2. Trichophyton
3. Epidermophyton
4. Candida

Correct answer: 2. Trichophyton

Explanation: Black dot lesions are seen in Tinea capitis.
The hairs are broken at the level of the skin surface producing a picture of black dots in an area of alopecia.
T. tonsurans is the chief cause of "black dot" tinea capitis.